All of the following statements about toxoplasmosis are true except -a) Oocyst in freshly passed cat's faeces is infectiveb) May spread by organ transplantationc) Maternal infection acquired after 6 months has high risk of transmission.d) Arthalgia, sore throat and abdominal pain are the most common manifestations
1. b
2. c
3. ac
4. ad

Correct answer: 4. ad